A 7 years girl, parent gave history of fever for which she was treated with Paracetamol following which the fever subsided. Later she developed seizures and altered sensorium. The urine examination revealed oxalate crystals on microscopy, Blood anion gap and osmolality were increased. The diagnosis is
1. Lactic acidosis
2. Ethylene glycol
3. Renal tubular acidosis
4. Paracetamol poisoning

Correct answer: 2. Ethylene glycol